Mitochondria is involved in all of the following, except
1. ATP production
2. Apoptosis
3. Tricarboxylic acid cycle
4. Fatty acid biosynthesis

Correct answer: 4. Fatty acid biosynthesis

Explanation: Fatty acid biosynthesis 

Fatty acid synthesis occurs in the cytosol
TCA cycle and ATP production (via ETC) occur in mitochondria
Mitochondria play a key role in apoptosis